Most common site of extra - pulmonary TB in children is ?
1. Abdominal
2. Genitourinary
3. Lymphnode
4. Congenital

Correct answer: 3. Lymphnode

Explanation: Ans. is 'c' i.e., Lymphnode Most common site of extra pulmonary TB is lymphnode Most children who develop tuberculosis disease experience pulmonary manifestations 25 to 35 percent of children have an extrapulmonary presentation. The most common extrapulmonary form of tuberculosis is lymphatic disease accounting for about two thirds of cases of extrapulmonary tuberculosis. the second most common form is meningeal disease occurring in 13% of patients